ApoE, ApoC is synthesized by -
1. Liver
2. Kidney
3. intestine
4. RBCs

Correct answer: 1. Liver

Explanation: Ans. is 'a' i.e., LiverTypeFound inSite of synthesisFunctionApo-AA-IHDL, ChylomicronsLiver, intestineMajor structural protein of HDL, major activator of LCAT'A-IIHDL, ChylomicronsLiver, intestineStructural protein of HDL, Inhibits lipoprotein lipase (LPL), stimulate hepatic lipase, inhibits LCATA-IVHDL, ChylomicronsIntestine A-VChylomicrons, VLDLLiver lipolysisPromotes lipoprotein lipase (LPL) mediated triglycerideApo-BB-100LDL, VLDL, IDLLiverStructural protien of VLDL. IDL; only apoprotein of LDL; mediate uptake of LDL by LDL receptors of liverB-48Chylomicrons, chylomicron remnantsIntestineStructural protein of chylomicronsApo-CC-IChylomicrons, VLDL, HDLLiverInhibits cholesteryl ester transfer protein (CETP), Activates LCAT and LPLC-1IChylomicrons, VLDL, HDLLiverActivates lipoprotein lipase (major activator)C-IIIChylomicrons VLDL, HDLLiverInhibits lipoprotein lipaseApo-DHDLSpleen, brain, testes, adrenal Apo-E (arginine rich)Chylomicrons, chylomicron remnants, VLDL, HDLLiverMediates uptake of chylomicron remnants and IDL by LDL receptors in liver